Eruption of Maxillary Lateral incisor occur at
1. 8-9 years
2. 10-11 year
3. 19-20 year
4. 15-16 year

Correct answer: 1. 8-9 years